Which of the following have most friable vegetation?
1. Infective endocarditis
2. Libman Sack's endocarditis
3. Rheumatic heart disease
4. SLE

Correct answer: 1. Infective endocarditis

Explanation: The vegetations seen in Infective endocarditis begin as small excrescences, mostly solitary which later enlarge and form bulky friable lesions posing greatest risk of systemic emboli.The vegetations seen in SLE (Libman Sack's endocarditis) and Rheumatic Heart disease are verrucous. Ref: Robbin's Basic Pathology, 7th Edition, Pages 380, 381, 134, 376.